The most common cause of TMJ ankylosis is:
1. Trauma
2. Osteoarthritis
3. Childhood illness
4. Rheumatoid arthritis

Correct answer: 1. Trauma